Bleeding spots seen on removal of scales in psoriasis is called as -
1. Auspitz sign
2. Punctate hemorrhage
3. Nikolysk's sign
4. barrier sign

Correct answer: 1. Auspitz sign

Explanation: AUSPITZ SIGN- fine bleeding points that appear after removal scales is seen in psoriasis. it is due to capillarity dilatation and tortuosity in papillary dermis and suprapapillary thinning of epidermis. IADVL textbook of dermatology page 1032 nikolsky sign is seen in pemphigus vulgaris.